Leukodystrophy with Bilateral occipital lobe involvement is seen in
1. MELAS
2. Canavan disease
3. Alexander disease
4. Adrenoleucodystrophy

Correct answer: 4. Adrenoleucodystrophy

Explanation: Adrenoleukodystrophy Also known as X-linked Adrenoleukodystrophy, (ALD) is a rare, genetic disorder Characterized by the breakdown or loss of myelin in the brain and progressive dysfunction of the adrenal gland. Adrenoleukodystrophy involves bilateral occipital lobes. Alexanders Disease involves bilateral frontal lobe.it is associated with megalencephaly (large skull). Krabbes Disease - involves Bilateral Thalami